Interleukin secreted by Th17 cells
1. IFN Gamma
2. IL22
3. IL6
4. 1L16

Correct answer: 2. IL22

Explanation: Ans. (b) IL22(Ref: Immunity 2008 Apr. 28(4): 454-467IL-22 is one of the IL-10 family cytokines, which also include IL-10, IL-19, IL-20, IL-24, and IL-26, as well as more distally related IL-28 and IL-29.It has a role in autoimmune diseases, tissue-repair and wound-healing apart from being proinflammatory